True regarding fluorosis are all except –
1. Fluorosis is the most common cause of dental caries in children
2. Fluorosis can cause fluoride deposition in bones
3. Defluoridation is done by Nalgonda technique
4. Fluorosis can cause genu valgum

Correct answer: 1. Fluorosis is the most common cause of dental caries in children